Patient complains of pain Which seems similar to Trigeminal neuralgia. Examination reveals the reason of pain is a tumor in nasopharynx, what could be the diagnosis:
1. Jaw winking syndrome.
2. Paratrigeminal syndrome.
3. Trotter syndrome.
4. Eagles syndrome.

Correct answer: 3. Trotter syndrome.